Unilateral stepping gait is seen in all except
1. L5 radiculopathy
2. Sciatic neuropathy
3. Peroneal neuropathy
4. Distal polyneuropathy

Correct answer: 4. Distal polyneuropathy

Explanation: Steppage gait (High stepping, Neuropathic gait) is a form of gait abnormality characterised by foot drop or ankle equinus due to loss of dorsiflexion.The foot hangs with the toes pointing down, causing the toes to scrape the ground while walking, requiring someone to lift the leg higher than normal when walking not seen in distal poly neuropathy Ref Harrison20th edition pg 2456